Lipoprotein A shows homology with:
1. Plasminogen
2. Albumin
3. Prothrombin
4. Plasmin

Correct answer: 1. Plasminogen

Explanation: (Refer: Harper’s Illustrated Biochemistry, 27th edition)
Lipoprotein A, Lp (a)

Lp (a) is a lipoprotein similar to LDL in lipid and protein composition, but it contains an additional protein called apolipoprotein(a) 
Apo (a) is synthesized in the liver and attached to apoB-100 by a disulfide linkage.
The major site of clearance of Lp(a) is the liver, but the uptake pathway is not known.
Lp (a) causes fibrin complex deposition.
Lp (a) has structural similarity with Plasminogen.
Inhibits the tissue plasminogen action.
Inhibits the solubilization of fibrin by the action of plasmin.
Oxidized Lp (a) taken up by macrophages.
Lp (a) as a risk factor for atherosclerotic diseases such as coronary heart disease and stroke.